Which thalamic nuclei connects with neocortex?
1. Pulvinar
2. Intralaminar
3. Anterior
4. All

Correct answer: 4. All

Explanation: All nuclei except reticular nucleus have projections into neocortex.Thalamus is a sensory integration and relay station of all the sensory pathways except for the olfactory pathway which is projected directly to the cerebral cortex without relay in thalamus.(Ref: Vishram Singh textbook of clinical neuroanatomy second edition pg 129)